Type II Mirizzi's syndrome
1. Obstruction of common duct by external compression only(no erosion)
2. Erosion of one-thirds circumference of common duct
3. Erosion of upto two-third circumference of common duct
4. Total /near total circumferential of common duct

Correct answer: 2. Erosion of one-thirds circumference of common duct

Explanation: Classification of Mirizzi's Syndrome (Csendes classification) Type I Obstruction of common duct by external compression only(no erosion) Type II Erosion of less than one-third circumference of common duct Type III Erosion of upto two-third circumference of common duct Type IV Total/near total circumferential destruction of common duct Type V Erosion of GB in common duct with cholecystoenteric fistula Ref: Sabiston 20th edition Pgno :1520